True regarding Mitral valve prolapse syndrome is all, EXCEPT-
1. More common in female
2. Mostly symptomatic
3. High incidence of arrhythmia
4. Transient cerebral ischemia can occur

Correct answer: 2. Mostly symptomatic

Explanation: Answer is B (Mostly Symptomatic) Most patients are asymptamatic and remain so for their entire lives)